What would be the first line of treatment is a patient develops ventricular fibrillation after intravenous injection of potassium chloride -
1. Cardiac massage
2. I. V. Adrenaline
3. Defibrillation
4. IPPV

Correct answer: 3. Defibrillation

Explanation: If the patient is in ventricular fibrillation, one defibrillation attempt (2 J/kg) should be administered. If the rhythm does not convert, the patient should be rewarmed to 30degC (86degF) before defibrillation attempts are repeated. Supplemental oxygenation is always warranted, since tissue oxygenation is affected adversely by the leftward shift of the oxyhemoglobin dissociation curve,this is the case of hypothermic shock. ref:harrison's principles of internal medicine,ed 18,pg no 167